A farmer rearing sheep, presented with complaints of fever and weakness for the last one month. There is generalised lymphadenopathy. There was also associated hepatomegaly. Biopsy of liver showed non caseating granuloma. These are most likely due to infection with -
1. Yersinia pestis
2. Brucella Canis
3. Francisella tularensis
4. Brucella melitensis

Correct answer: 4. Brucella melitensis